Systemic Inflammatory Response Syndrome (SIRS) includes all of the following, EXCEPT:
1. Leucocytosis
2. Hyperthermia
3. Hypothermia
4. Thrombocytopenia

Correct answer: 4. Thrombocytopenia

Explanation: Fever or hypothermia, leukocytosis or leukopenia, tachypnea (>20/minute), and tachycardia (>90/min) are the cardinal signs of systemic inflammatory response syndrome (SIRS). Ref: Harrison's Internal Medicine, 18th Edition, Chapter 271; Clinical Review of Surgery - ABSITE Preparation, 2nd Edition, Pages 286-7